Adult with progressive pallor, hyper-segmented neutrophils and MCV>100 shows?
1. Hereditary spherocytosis
2. Megaloblastic anemia
3. Dimorphic Anemia
4. Thalassemia

Correct answer: 2. Megaloblastic anemia

Explanation: Ans. (b) Megaloblastic anaemiaRef: Harrison 19th ed. / 81 e-3fThe presence of macrocytes with hyper segmented neutrophils confirms the answer as megaloblastic anaemia.